For PPS scoring on cast best instrument is?
1. Wax spatula
2. BP Blade no.22
3. Kingsley scraper
4. Hollenbeck carver

Correct answer: 3. Kingsley scraper